Features of serotonin syndrome associated with SSRI & MAOIs are :
1. Tremors
2. Agitation
3. Cardiovascular collapse
4. All

Correct answer: 4. All

Explanation: A, B, C i.e. Tremors, Agitation, Cardiovascular collapse